The colour coding of of 20G IV cannula is
1. Green
2. Grey
3. Pink
4. Blue

Correct answer: 3. Pink